Battey bacillus is
1. Mycobacterium intracellulare
2. Mycobacterium leprae
3. Mycobacterium tuberculosis
4. Mycobacterium kansai

Correct answer: 1. Mycobacterium intracellulare

Explanation: M.intracellulare: it is commonly known as Battey bacillus because it was first identified as human pathogen at the Battey state hospital for Tuberculosis, Georgia, USA. M.intacellulare and M.avium and are so similar that they can be considered as one group, the M.avium complex (MAC). They cause lymphadenopathy, pulmonary lesions or disseminated disease, particularly in AIDS patient. Ref: Textbook of microbiology; Ananthanarayan and paniker's; 10th edition; Pg: 367